Asbestos filter used for absolute sterility?
1. HP : PYR
2. HP : EK
3. HP : EKS
4. HP : MK

Correct answer: 3. HP : EKS